Features of extradural haemorrhage include all except
1. Severe hypotension
2. Deteriorating consciousness
3. Fixed dilated pupil on the same side
4. Fracture line crossing the temporal bone

Correct answer: 1. Severe hypotension

Explanation: Due to increased ICT there will be hypertension. Fixed dilated pupil may be seen in both EDH & SDH as well as in other intracarnial SOLs causing uncal herniation. Ref : Bailey & Love 25/e p303